Gas gangrene is/are caused by-
1. C. novyi
2. C. septicum
3. C. histolyticum
4. All

Correct answer: 4. All

Explanation: Ans. is 'a' i.e., C.novyi 'b' C.septicum; 'c' i.e., C. histolyticum